Sleep walking is seen in which stage of sleep ?
1. REM
2. Stage 1-2 NREM
3. Stage 2-3 NREM
4. Stage 3-4 NREM

Correct answer: 4. Stage 3-4 NREM

Explanation: Important events occuring during sleep Deep sleep/slow wave sleep disorder : - These events occur during stage 3 & 4 of NREM. Important disorders are : Somnambulism (Night walking) : - Patient walks during sleep. Sleep terror or night terrors (pavor nocturnes) : - The patient suddenly gets up screaming, with autonomic arousal (tachycardia, sweating). Sleep terrors are rarely remembered in the morning (in contrast to night mares). No treatment is required only reassurance is required. However, in severe cases benzodiazepine can be used. Sleep-related enuresis (Nocturnal enuresis/bed wetting) : - Repetitive voiding occurs during sleep. First line of treatment is behaviour therapy. If behavioral therapy fails, desmopressin (DOC) and Imipramine can be used. Bruxism (Teeth grinding) Sleep-talking (Somniloquy). Ref: Guyton 12th Ed.